Angioid streaks occur in -
1. Sturge-Weber's syndrome
2. Sickle cell disease (SS)
3. Pseudoexfoliation syndrome
4. Septo-optic dysplasia

Correct answer: 2. Sickle cell disease (SS)